Which of the following about SCID is false ?
1. Failure of descent of thymus
2. Peyer's patches are present and normal
3. X-linked type is the most common
4. Gene therapy can be used

Correct answer: 2. Peyer's patches are present and normal

Explanation: Ans. is 'b' i.e., Peyer's patches are present and normal